In case control study of buccal carcinoma-
1. CA is commoner in zarda pan users than non users
2. Zarda pan is a cause of buccal CA
3. Zarda pan is associated with buccal CA
4. If use of zarda pan is stopped, number of cases will reduce

Correct answer: 3. Zarda pan is associated with buccal CA

Explanation: Case control studies often retrospective studies are a common first approach to test causal hypothesis. In recent years case control study has emerged as a permanent method of epidemiological investigation. Both exposure and outcome has occurred before the study. Study proceeds backwards from effect to cause. It uses a control or comparison group to support or refute an inference (refer pgno:71 park 23 rd edition)